Mucopolysaccharide having anticoagulant action is-
1. Heparin
2. Phenindione
3. Rivoroxaban
4. Dabigatran

Correct answer: 1. Heparin

Explanation: Ans. is 'a' i.e., Heparin Heparino It is a parenteral indirect thrombin inhibitor.o It is a on uniform mixture of straight chain polysaccharides with molecular weight 10,000 - 20,000.o It contains polymers of two sulfated disaccharide units D glucosamine L iduronic acid and D glucosamine D glucuronic acid.o Heparin is the strongest organic acid present in the body.